Which of the following apolipoproteins is synthesized in the liver as part of the coat of very low-density lipoproteins (VLDLs)?
1. AI
2. B48
3. CII
4. B100

Correct answer: 4. B100

Explanation: Apolipoproteins (apoproteins) The protein components of lipoproteins are known as apolipoproteins(, simply, apoproteins) . They perform the following functions 1 . Act as structural components of lipoproteins. 2. Recognize the cell membrane surface receptors. 3. Activate enzymes involved in lipoprotein metabolism. Chylomicrons (nascent) are synthesized in the small intestine during the course of fat absorption. They contain apoprotein Bart6 and mostly triacylglycerols. Apo 846 name is given since this apoprotein contains 48'h of protein coded by apo B gene (apo B1s6 is found in LDL and VLDL). Chylomicrons are produced when nascent particles combine with apo C ll and apo E, derived from HDL. The liver synthesizes nascent VLDL containing apo 8166 which are rich in triacylglycerols and cholesterol. Circulating HDL donates apo C ll and apo E to convert nascent VLDL to VLDL. Ref : Biochemistry by U. Satyanarayana 3rd edition Pgno : 318